Chronic pelvic pain is defined as pain of greater than ----- months in duration
1. 1month
2. 3months
3. 6months
4. 12months

Correct answer: 3. 6months

Explanation: Chronic pelvic pain is defined as pain of greater than 6 months in duration, localized to the anatomic pelvis, and severe enough to cause functional disability or necessitating medical care.Ref: Berek and Novak's Gynecology; 15th edition; Chapter 16